All of the following are essential amino acids except
1. Methionine
2. Lysine
3. Alanine
4. Leucine

Correct answer: 3. Alanine

Explanation: Alanine is a non-essential amino acid .essential amino acids are threonine valine tryptophan isoleucine lysine proline methionine (TV TILL 8 PM).they are not synthesized by humans.they are required for our normal growth.Ref: DM Vasudevan - Textbook of Biochemistry for Medical Students, 7th edition, page no: 27